All of the following are false regarding Vacuum assisted closure Except -
1. Due to negative pressure , bacterial counts decrease and cell proliferation increases in the wound.
2. Continuous pressure of +125 mm hg is applied.
3. It causes interstitial edema , thereby increasing blood flow and better healing.
4. Suitable to be used over malignancy if present in wound.

Correct answer: 1. Due to negative pressure , bacterial counts decrease and cell proliferation increases in the wound.

Explanation: VACUUM ASSISTED CLOSURE/NEGATIVE PRESSURE WOUND THERAPY(NPWT) NPWT promotes wound healing by applying a vacuum through a special sealed dressing. Continued vacuum draws out the fluid (interstitial fluid) from wound and increase blood flow to the area. As a result, bacterial counts decrease and cell proliferation increases, thereby creating a suitable bed for graft or flap cover. Intermittent negative pressure of -125 mm Hg appears to hasten debridement and formation of granulation tissue in chronic wounds and ulcers. Contraindications for NPWT Use Malignancy in the wound Untreated osteomyelitis Non-enteric & unexplored fistula Necrotic tissue with eschar